Cause of transudate pleural effusionn is
1. Nephrotic syndrome
2. Tuberculosis
3. Pneumonia
4. Pulmonary infarction

Correct answer: 1. Nephrotic syndrome

Explanation: Causes of transudative effusion includes Nephrotic syndrome,congestive heart failure,cirrhosis,pulmonary embolization, myxedema,etc.Causes of exudative effusion includes neoplasms;infections like pneumonia,TB,collagen vascular diseases,Meigs syndrome,etc. Most common cause of exudative pleural effusion is bacterial pneumonia. Reference:Davidson's Medicine-22nd edition,page no:661.